Diagnosis of X linked agammaglobulinemia should be suspected if-
1. Low CD 3
2. Female Sex
3. High Isohemagglutinins titers
4. Absent tonsils and no palpable lymph nodes on physical examination

Correct answer: 4. Absent tonsils and no palpable lymph nodes on physical examination